Provisions of free medical care to the people at government expense is known as -
1. State medicine
2. Social therapy
3. Social medicine
4. Preventive medicine

Correct answer: 1. State medicine

Explanation: State medicine. : administration and control by the national government of medical and hospital services provided to the whole population and paid for out of funds raised by taxation. Ref: 25th edition, Park's Textbook of Preventive and Social Medicine, Page no. 10